Hypertension is not seen with :
1. SNRIs
2. amphetamine
3. Erythropoietin
4. L-dopa

Correct answer: 4. L-dopa

Explanation: Levodopa: ADVERSE EFFECTS- Most are dose-related, but are usually reversible. 1. Nausea and vomiting It occurs in almost every patient. Tolerance gradually develops and then the dose can be progressively increased. 2. Postural hypotension It occurs in about 1 I 3 of patients, but is mostly asymptomatic; some patients experience dizziness, few have fainting attacks. It is more common in patients receiving antihypertensives. ESSENTIALS of medical PHARMACOLOGY SEVENTH EDITION-KD TRIPATHI Page:428,429